Tourniquet test is used in the diagnosis of:
1. Dengue
2. Scurvy
3. Malaria
4. Hypertension

Correct answer: 1. Dengue

Explanation: Tourniquet test is used in diagnosis of dengue haemorrhagic syndrome (DHS). The test is performed using a blood pressure cuff which is inflated to a point midway between the systolic and the diastolic blood pressure for 5 minutes. In DHS, test usually gives a positive result, i.e more than 20 petechiae per 2.5 square cm. Ref: Park 21st edition, page: 227.